Serotonin is synthesized from
1. Tryrosine
2. Alanine
3. Tryptophan
4. Glycine

Correct answer: 3. Tryptophan

Explanation: Serotonin is synthesized from tryptophanRef: DM Vasudevan - Textbook of Biochemistry, 7th edition, page no: 241, fig 18.10